Total number of dehydrogenases Krebs cycle ?
1. 3
2. 2
3. 4
4. 5

Correct answer: 3. 4

Explanation: Ans. is 'c' i.e., 4